Complimentary sequence of 5' GCACC 3'
1. 5' CCACG3'
2. 5' CGTGG 3'
3. 3' GGTGC 5'
4. 5'GGTGC 3'

Correct answer: 4. 5'GGTGC 3'

Explanation: Ans: d (5' GGTGC 3') Ref: Lippincott 3rd ed/p. 395.Adenine (A) always pairs with Thiamine (T).There are 2 Hydrogen bonds between A and T.Cytosine(C) always pairs with Guanine (G).There are 3 Hydrogen bonds between C and G.Complementary sequence of 5'-3' end always proceeds from 3'-5'.Therefore,5'GCACC 3' Complements 3'CGTGG 5'This can also be rewritten in 5' - 3' as5' GGTGC 3'